Muscle(s) causing dorsiflexion of foot is/are:
1. Extensor digitorum longus
2. Extensor hallucis longus
3. Tibialis anterior
4. All

Correct answer: 4. All

Explanation: A i.e. Extensor digitorum longus; B i.e. Extensor hallucis longus; C i.e. Tibialis anterior